Spironolactone should not be given with
1. Chlorthiazide
2. Beta blockers
3. ACE inhibitors
4. Amlodipine

Correct answer: 3. ACE inhibitors

Explanation: Sprinolanctone is a potassium sparing diurectic It doesn't excrete potassium - increasing potassium levels in the blood ACE IN. also increases potassium levels in the blood Hence the combination is contraindicated Ref: KD Tripathi 8th ed